Severe pain after injury or sectioning of a peripheral sensory nerve is called:
1. Complex regional pain syndrome.
2. Neuralgia.
3. Neuritis.
4. Temporal arteritis.

Correct answer: 1. Complex regional pain syndrome.

Explanation: Causalgia manifests as severe pain after injury or sectioning of a peripheral sensory nerve following a difficult extraction. The other names are complex regional pain syndrome and reflex sympathetic dystrophy syndrome.